All of the following conditions are associated with raised ANCA except
1. Wegener granulomatosus
2. Polyarteritis nodosa
3. Microscopic poly angitis
4. Churg strauss syndrome

Correct answer: 2. Polyarteritis nodosa

Explanation: Classification of vasculitis Large vessel vasculitis *Giant cell (temporal) arteritis - seen in >50yrs of age*Takayasu arteritis - seen in <50yrs of age Medium vessel vasculitis *Polyarteritis nodosa - necrotizing inflammation of renal vessels. Spares pulmonary vessels. *Kawasaki disease - seen in <5yrs of age Small vessel vasculitis *Wegener granulomatosis -positive for c-ANCA(Ab against proteinase 3)*Churg strauss and microscopic polyangitis - positive for p-ANCA (Ab against myeloperoxidase) (Ref: Robbins 8/e p511)